KASAI Procedure is used in the treatment of -
1. Congenital Biliary Atresia
2. Primary Sclerosing Cholangitis
3. Cholangiocarcinoma
4. Carcinoma of gall bladder

Correct answer: 1. Congenital Biliary Atresia

Explanation: Ans. is 'a' i.e., Congenital Biliary atresia Kasai procedure (Portoenterostomy)o The purpose of this procedure is to facilitate the flow of bile into the intestine in Biliary Atresia. It is based on the observation that the fibrous tissue at the part hepatitis invests microscopically patent biliary ductules that in turn communicates with the intrahepatic ductal system. Transecting this fibrous tissue, opens these channels and establishes bile flow into a surgically constructed intestinal conduit, using a Roux-en-Y limb of jejunumo Liver transplantation is done in those, who fail to respond to Portoenterostomy.